While recording the rest position of the mandible, the patient’s head position should be
1. Head should be upright and unsupported
2. Head should be supported by the head rest
3. Patient should be lying in repose position
4. The neck should be extended

Correct answer: 1. Head should be upright and unsupported

Explanation: In this position, action of the muscles that regulate mandibular position is equalized and mandible is free of any undue pull of any muscle.